Drug of choice for treatment of infections caused by MRSA is :
1. Metronidazole
2. Vancomycin
3. Imipenem
4. Clindamycin

Correct answer: 2. Vancomycin